Which of the following fat soluble vitamin has been  identified to function as a coenzyme?
1. Vitamin A
2. Vitamin K
3. Vitamin E
4. Vitamin D

Correct answer: 2. Vitamin K

Explanation: Most of the water soluble vitamins exert the functions through their respective coenzymes while only one fat soluble vitamin (K) has been identified to function as a coenzyme.
Reference: Satyanarayana- Biochemistry, 3rd edition, pg-117